Femoral nerve divides into anterior and posterior division around
1. Lateral Circumflex formoral artery
2. Profunda femoris artery
3. Medial Circumflex femoral artery
4. 1st perforating branch of profunda femoris artery

Correct answer: 1. Lateral Circumflex formoral artery

Explanation: Femoral nerve divides into anterior and posterior division around Lateral Circumflex formoral artery.